A person having the habit of repeated self inflicted injuries, what is the type of personality
1. Borderline personality disorder
2. Schizoid personality disorder
3. Histrionic personality disorder
4. Narcissistic personality disorder

Correct answer: 1. Borderline personality disorder

Explanation: A i.e. Border line personality disorderHabit or repeated self inflicted injuries (ex. suicidal tendencies) is characteristic feature of Borderline personality disorder.